In a town of population 5000, 500 are already myopic on January 1, 2011. Number of new myopia cases is 90 till December 31, 2011. Calculate incidence of Myopia in the town in 2011-
1. 0.018
2. 0.02
3. 0.05
4. 18

Correct answer: 2. 0.02

Explanation: Ans. is `b' i.e., 0.02